Green stains which occur frequently in children are due to:
1. Enamel deficiency
2. Dentin deficiency
3. Material alba
4. Chromogenic bacteria

Correct answer: 4. Chromogenic bacteria